The following are common causes of seizures in adults older than 60 years of age except -
1. Cerebrovascular disease
2. Central nervous system neoplasia
3. Degenerative disease
4. Mesial temporal lobe sclerosis

Correct answer: 4. Mesial temporal lobe sclerosis